Serological testing of a patient shows HBsAg, Ig Manti HBc and HBeAg positive. The patient has:
1. Chronic hepatitis B with low infectivity
2. Acute hepatitis B with high infectivity
3. Chronic hepatitis B with high infectivity
4. Acute on chronic hepatitis

Correct answer: 2. Acute hepatitis B with high infectivity

Explanation: Ans. b. Acute hepatitis B with high infectivity